A 23-year-old female underwent kidney transplantation. After 8 days, she suffered from acute humoral rejection. She was successfully managed with tacrolimus and one more drug that suppressed B and T lymphocytes. Drug which target both B and T lymphocytes inhibiting de novo synthesis of purines is?
1. Cyclophosphamide
2. Mycophenolate mofetil
3. Methotrexate
4. Prednisone

Correct answer: 2. Mycophenolate mofetil

Explanation: Mycophenolic acid is formed from mycophenolate mofetil. It inhibits inosine monophosphate dehydrogenase, the rate limiting enzyme in the de novo pathway of purine synthesis. This action suppresses both B and T-lymphocytes.